Rothera's test is used for -
1. Bilirubine in urine
2. Sugar in urine
3. Protein in urine
4. Ketone bodies in urine

Correct answer: 4. Ketone bodies in urine